The long term complications of Tracheostomy include all EXCEPT
1. Tracheal stenosis
2. Tracheocutaneous fistula
3. Tracheooesophageal fistula
4. Apnoea due to decreased PaCO2

Correct answer: 4. Apnoea due to decreased PaCO2

Explanation: (D) Apnoea due to decreased paCO2 # LATE COMPLICATIONS OF TRACHEOSTOMY (with prolonged use of tube for weeks and months):1. Haemorrhage, due to erosion of major vessel.2. Laryngeal stenosis, due to perichondritis of cricoid cartilage.3. Tracheal stenosis, due to tracheal ulceration and infection.4. Tracheo-oesophageal fistula, due to prolonged use of cuffed tube or erosion of trachea by the tip of tracheostomy tube.5. Problems of decannulation. Seen commonly in infants and children.6. Persistent tracheocutaneous fistula7. Problems of tracheostomy scar. Keloidor unsightly scar.8. Corrosion of tracheostomy tube and aspiration of its fragments into the tracheobronchial tree.